Schistosoma Japonicum resides in:
1. Vesical Plexus
2. Ileocecal plexus
3. Systemic Circulation
4. Gallbladder

Correct answer: 2. Ileocecal plexus

Explanation: Ans. (b)Schistosoma Japonicum and Schistosoma mansoni - inhabit the rectal venous plexus and portal venous system.Schistosoma haematobium - inhabits the vesical venous plexus.